Most common cause of insertional tendonitis of tendoachilles is -
1. Overuse
2. Improper shoe wear
3. Infections from the ankle joint
4. Steroid injections

Correct answer: 1. Overuse

Explanation: ACHILLES TENDINITIS: Athletes, joggers and hikers often develop pain and swelling around the tendo Achillis, due to local irritation of the tendon sheath or the paratenon.Clinical features :The condition may come on gradually, or rapidly following a change in sporting activity (or a change of sports footwear). Less commonly there is a history of direct trauma to the Achilles tendon. The area above the heel may look inflamed and function is inhibited because of pain in the heel-cord, especially at pushoff. The tendon feels thickened in the watershed area about 4 cm above its insertion. In chronic cases an ultrasound scan may be helpful in confirming the diagnosis. REF:Apley's system of orthopaedics- 9th edn- pg no 613 .